The most common complication after thoracic injury is:
1. Chylothorax
2. Pulmonary contusion
3. Empyema
4. Oesophageal rupture

Correct answer: 3. Empyema

Explanation: The most common complication after thoracic injury is development of an empyema. Management is based on CT diagnostic criteria. Percutaneous drainage is indicated for single loculations without appreciable rind. Early decortication video-assisted thoracic surgery is pursued in patients with multiple loculations or a pleural rind of >1 cm. Antibiotic treatment is based on definitive culture results. Ref: Cothren C., Biffl W.L., Moore E.E. (2010). Chapter 7. Trauma. In F.C. Brunicardi, D.K. Andersen, T.R. Billiar, D.L. Dunn, J.G. Hunter, J.B. Matthews, R.E. Pollock (Eds), Schwartz's Principles of Surgery, 9e.